Giant papillary conjunctivitis is seen
1. Trachoma
2. Contact lens
3. Phlytenular conjunctivitis
4. Vernal kerato conjunctivitis

Correct answer: 2. Contact lens

Explanation: It is the inflammation of conjunctiva with formation of very large sized papillae. Etiology :It is a localised allergic response to a physically rough or deposited surface (contact lens, prosthesis, left out nylon sutures). Probably it is a sensitivity reaction to components of the plastic leached out by the action of tears. ref: A K KHURANA OPHTALMOLOGY,E4, Page-77